Evidence ul decreased risk of cardiovascular disease is associated with all of the following exceof
1. Vitamin E supplementation
2. Low to moderate daily alcohol consumption
3. Regular physical activity
4. Potassium

Correct answer: 1. Vitamin E supplementation

Explanation: Ans. a. Vitamin E supplementation